Shagreen patch is usually found in ?
1. Face
2. Cervical region
3. Limbs
4. Lumbosacral region

Correct answer: 4. Lumbosacral region

Explanation: D i.e. Lumbosacral